Signs of placental separation are all except
1. Gush of blood pervaginally
2. Apparent shortening of cord
3. Supra pubic bulge
4. Slight increase in height of uterus

Correct answer: 2. Apparent shortening of cord

Explanation: There is apparent lengthening of cord with placental separation.